In alveolar variant of rhabdomyosarcoma , the resultant fusion protein is believed to function as
1. Activated growth factor receptor
2. Chimeric transcription factor
3. Constitutively active kinase
4. Novel growth factor

Correct answer: 2. Chimeric transcription factor

Explanation: In Alveolar rhabdomyosarcoma, there is frequently fusion of the FOXO1 gene to either the PAX3 or the PAX7 gene, rearrangements marked by the presence of (2;13) or(1;13) translocations, respectively. PAX3 is a transcription factor that initiates skeletal muscle differentiation, and it appears that the chimeric PAX3-FOXO1 fusion protein interferes with the gene expression program that drives differentiation.